Which of the following infections are caused by candida species
1. Antibiotic tongue
2. Denture mouth
3. Chronic mucocutaneous candidiasis
4. All of the above

Correct answer: 4. All of the above

Explanation: Antibiotic tongue: Acute erythematous candidiasis
Denture mouth: Chronic erythematous candidiasis.